When gas filled cysts are found in subserosa or submucosa of small intestine or colon, it is called
1. Pneumatosis cystoids intestinalis
2. Crohn's disease
3. Ulcerative colitis
4. Mesenteric cyst

Correct answer: 1. Pneumatosis cystoids intestinalis

Explanation: Pneumatosis cystoides intestinalis is transient,thin cysts containing nitrogen & hydrogen in subserosal & submucosal planes of bowel.It is due to increased intraluminal pressure which forces the gas through the layers of the bowel due to hyperperistalsis.They can occur anywhere in GIT but commonly in jejunum,followed by ileocaecal and colon region.They can rupture into peritoneal cavity to cause sterile pneumoperitoneum.Intestinal obstruction,hemorrhage,perforations are the complications. Reference:SRB's manual of surgery,5th edition,page no:870.